A 60 year old man with history of long standing diabetes mellitus presents with painless, swollen right ankle joint. X-rays of the ankle show destroyed joint with large number of loose bodies. The most probable diagnosis is:
1. Charcot's joint
2. Clutton's joint
3. Osteoarthritis
4. Rheumatoid arthritis

Correct answer: 1. Charcot's joint

Explanation: Ans. A. Charcot's jointa. It is progressive destructive arthritis arising from loss of pain sensation and proprioceptionb. Joints lack normal reflex safeguard against abnormal stress injury.c. Causes- DM, Tabes dorsalis, Leprosy, syringomyelia, Myelomeningocele, Chronic alcoholism